Cerebral perfusion pressure in children is:
1. 11-15 mm Hg
2. 16-20 mm Hg
3. 20-40 mm Hg
4. 40-60 mm Hg

Correct answer: 4. 40-60 mm Hg

Explanation: - Cerebral perfusion pressure (CPP) is calculated as the difference between the systemic mean arterial pressure (MAP) and the intracranial pressure (ICP) - The normal range of CPP is thought to be approximately 50 to 150 mm Hg in healthy adults, and 40 to 60 mm Hg, in children. Normal CPP (mm Hg) 2-6 yrs - 50 mm of Hg 7-10 yrs - 55 mm of Hg 11-16 yrs - 65 mm of Hg